Unsegmented eggs are in which parasite?
1. Trichuris trichura
2. Ancylostoma
3. Necator americanus
4. Dracunculus

Correct answer: 1. Trichuris trichura

Explanation: Ans. a. Trichuris trichura